Least common complication of closed supracondylar fracture in a 8 year old child is:
1. Cubitus valgus
2. Cubitus varus
3. Nonunion
4. Vessel injury

Correct answer: 3. Nonunion

Explanation: C i.e. Nonunion